EhlerDanlos syndrome is due to defect in?
1. Elastin
2. Collagen
3. Keratin
4. Laminin

Correct answer: 2. Collagen

Explanation: Ans. (b) CollagenRef: Robbin's 8th ed ch:3